What is lethal -
1. OX
2. XX
3. OY
4. XXX

Correct answer: 3. OY

Explanation: Ans. is 'c' i.e.,OYSingle Y chromosome is not compatible with life.XX is normal female genotypeX0 is Turner syndrome genotypeXXX is Triple X syndrome genotype